The posterior belly of the digastric muscle is supplied by the:
1. Facial nerve
2. Vagus nerve
3. Mylohyoid nerve
4. Inferior alveolar nerve

Correct answer: 1. Facial nerve